Nasolacrimal duct opens in which part of internal nose ?
1. Superior meatus
2. Inferior meatus
3. Middle meatus
4. Spenoethmoidal recess

Correct answer: 2. Inferior meatus

Explanation: Ans. is 'b' i.e., Inferior meatus